Fidelity of protein translation depends on:
1. RNA polymerase
2. DNA polymerase
3. MRNA polymerase
4. Amino acyl t-RNA synthetase

Correct answer: 4. Amino acyl t-RNA synthetase

Explanation: D i.e. Amino acyl t-RNA synthetase